Highest amount of vit. C is found in
1. Orange
2. Lemon
3. Grapes
4. Indian goose berry

Correct answer: 4. Indian goose berry